Accidental injury of the ureter during abdominal operation should be managed by all except:
1. Deligation
2. End-to-end anastomosis through an ureteric catheter
3. Implantation into the bladder
4. Colonic implantation

Correct answer: 4. Colonic implantation

Explanation: Surgeries for ureteric fistula:
• Bladder flap procedure (modified Boari–Ocker–Blad)
• Ureteroneocystostomy
• Implantation into the bladder
Note: End to end anastomosis may lead to stricture formation.
Colonic transplantation results in recurrent pyelonephritis and hyperchloremic acidosis.